Eczema herpeticum is caused by –
1. Herpes simplex virus
2. Varicella
3. CMV
4. BPV

Correct answer: 1. Herpes simplex virus

Explanation: Herpes simplex virus is the most common cause of Eczema herpaticum. Other viruses causing Eczema herpaticum are Coxsackievirus A-16, vaccinia virus, Small pox vaccination